Maximum tolerable sound level to human cass
1. 100 dB
2. 85 dB
3. 120 dB
4. 40 dB

Correct answer: 2. 85 dB